Tzank cell is a -
1. Lymphocyte
2. Monocyte
3. Neutrophil
4. Keratinocyte

Correct answer: 4. Keratinocyte

Explanation: D. i.e. Keratinocyte